Temporal arteritis all are associated except ?
1. Elderly patient
2. Low ESR
3. Giant cells
4. Polymyalgia rheumatica

Correct answer: 2. Low ESR

Explanation: Ans. is 'b' i.e., Low ESR Tempoal Arteritis is characterized by :?HeadacheJaw claudicationVisual symptomsPolymyalgia rheumaticaAhritisRaised ESRNormocyticNormochronic anemia